Reverse transcriptase is _____
1. DNA-dependent RNA polymerase
2. RNA-dependent DNA polymerase
3. DNA-dependent DNA polymerase
4. RNA-dependent RNA polymerase

Correct answer: 2. RNA-dependent DNA polymerase

Explanation: Reverse transcriptase : It is RNA-dependent DNA polymerase This enzyme has role in the replication of the AIDS virus and other retroviruses.